Pyromania refers to an irresistible urge to ?
1. Set things on fire
2. Eat out of proportion
3. Sleep for long periods
4. None

Correct answer: 1. Set things on fire

Explanation: Ans. is 'a' i.e., Set things on fire